A patient of RTA with injury over chest and limbs has low SP02. M-mode ultrasound of right upper chest shows stratosphere sign. What is the diagnosis?
1. Hemothorax
2. Pneumothorax
3. Cardiac tamponade
4. Pulmonary embolism

Correct answer: 2. Pneumothorax